Chemotherapeutic Agent of Choice for the treatment of CML is:
1. Imatinib
2. Vincristine
3. Cyclophosphamide
4. Methotrexate

Correct answer: 1. Imatinib

Explanation: Answer is A (Imatinib): Tyrosine Kinase Inhibitors (Imatinib) are the chemotherapeutic agents for choice in the management of CML. Tyrosine Kinase inhibitors target the 'constitutively active tyrosine kinase' implicated in the pathogenesis of CML. Although they do not cure the disease, these agents are able to achieve long term control of CML in the majority of patients. Most recent texts (Including Harrisons) recommend Tyrosine Kinase Inhibitors (Imatinib) as the initial treatment of choice for newly diagnosed CML reserving Allogeneic Stem Cell Transplantation (SCT) for those who develop Imatinib Resistance.